All are arteriolar dilators except ?
1. Hydralazine
2. Minoxidil
3. Nitrates
4. Nifedipine

Correct answer: 3. Nitrates

Explanation: Ans. is 'c' i.e., Nitrates